All the following statements about Military T.B are true except
1. May occur following primary infection
2. May occur following secondary reactivation
3. Sputum microscopy is usually negative
4. Mantoux is always positive

Correct answer: 4. Mantoux is always positive

Explanation: Sputum-smear microscopy is negative in most cases. Various hematologic abnormalities may be seen, including anemia with leukopenia, lymphopenia, neutrophilic leukocytosis and leukemoid reactions, and polycythemia. Disseminated intravascular coagulation has been reported. Elevation of alkaline phosphatase lev-els and other abnormal values in liver function tests are detected in patients with severe hepatic involvement. The TST may be negative in up to half of cases, but reactivity may be restored during chemotherapy. Ref Harrison 19th edition pg 1112